Which of the following is not a step of b-oxidation?
1. NADP dependent oxidation
2. FAD dependent oxidation
3. Thiolysis
4. Hydration

Correct answer: 1. NADP dependent oxidation

Explanation: 4 repetitive steps of fatty acid oxidation : 1. FAD dependent oxidation 2. Hydration 3. NAD dependent oxidation 4. Thiolysis It is NAD dependent oxidation, not NADP dependent